Centroacinar cells are present in ?
1. Pancreas
2. Parotid gland
3. Prostate
4. None

Correct answer: 1. Pancreas

Explanation: Ans. is 'a' i.e., Pancreas Pancreas It is a mixed exocrine and endocrine gland. A . Exocrine part The exocrine portion is a compound acinar gland, consists of pancreatic acini. The acini of pancreas consist of a group of pyramid-shaped acinar cells' (pancreatic parenchymal cells) arranged around a small lumen. The centroacinar-cells are seen at the centre of acini where the duct system begins. These cells are an extension of the intercalated duct cells into the acinus. They add bicarbonate ions to pancreatic juce. Individual acini are drained by intercalated ducts (interalobular ducts), which drain into larger interlobular ducts, found in connective tissue septa. B. Endocrine part Islets of Langerhans constitute the endocrine part and are scattered throughout the exocrine part, most abundandly in tail region.